Thanatology is the science that deals with
1. Death in all its aspects
2. Solving paternity of the child
3. Identification of the living
4. Detection of lie

Correct answer: 1. Death in all its aspects

Explanation: A i.e. Death in all aspects Thanatology deals with death in all aspects Q.